What is the best method to diagnose HIV in an infants?
1. Western Blot
2. ELISA
3. PCR
4. All of the  above

Correct answer: 3. PCR

Explanation: In children younger then 18 months of age, WHO recommended HIV DNA or RNA PCR to diagnose HIV infection, as maternal antibodies may interface with antibody detetion.
In children > 18 months of age, demonstration of IgG antibody of HIV by ELISA and western blot establishes HIV infection.